Triiodothyronine (T3) as compared to T4:
1. Is more plasma protein bound
2. Is shorter acting
3. Is less potent
4. Has delayed action

Correct answer: 2. Is shorter acting

Explanation: (Ref: KDT 6/e p247) T3 is the main active thyroid hormone. It is more potent (less plasma protein bound) and faster acting than T4. However, short duration of action limits its use for the treatment of hypothyroidism (requires life long treatment). T3 is indicated for the treatment of myxedema coma.